NOT used in scabies ?
1. BHC
2. Permethrin
3. Ciclopirox oleamine
4. Crotamiton

Correct answer: 3. Ciclopirox oleamine

Explanation: Ciclopirox oleamine Scabies is caused by a mite (Sarcoptes Scabiei var hominis) specific for human. Scabicides used in the tit of scabies Scabicide Method of use Comments * Permethrin (5%) 1 application * Benzylbenzoate 3 application at Irritation 12 hourly intervals * Gamma benzene hexachloride (BHC) (1%) 1 application Seizures * Crotamiton 10% 2 applications daily x 14 d useful in children mild antipruritic * Ivermectin Single oral dose 200 lag/kg body weight